Pseudofracture or looser's zone is seen in -
1. Osteoporosis
2. Osteopetrosis
3. Osteomalacia
4. Scurvy

Correct answer: 3. Osteomalacia

Explanation: Pseudofracture/ Looser's zones : Wide, transverse lucencies traversing part way through a bone, usually at right angles to the involved cortex The characteristic feature of osteomalacia Also seen in: Paget's disease Fibrous dyplasia Hyperparathyroidism Renal osteodystrophy Symmetrically distributed in : Pubi rami Femoral neck Medial border of scapula